Fluoroqinolone with least oral bioavailability-
1. Norfloxacin
2. Ofloxacin
3. Ciprofloxacin
4. Levofloxacin

Correct answer: 1. Norfloxacin

Explanation: Ans. is 'a' i.e., Norfloxacin Pharmacokinetic characteristics and doses of fluoroquinolones C1PROFLNORFLPEFLOFLLEVOFLGEM1PRULIMOXI1. Oral bioavailability (%)60-8035-4590-10085-95-1007090852. Plasma protein binding (%)20-351520-30252555-7345403. Vo!, of distribution (L/kg)3-4221.51.3----24. Percent metabolized2025855-105->9070-805. Elimination t 1/2 (hr)3-54-68-145-88710-1210-156. Routes of administrationoral, i.v.oraloral, i.v.oral, i.v.oral, i.v.oraloraloral, i.v.7. Dose (mg): oral250-750(BD)400(BD)400(BD)200-400(BD)500(OD)320(OD)600(OD)400(OD): i.v.100-200--400200500 --400